A case of Non – Insulin dependent diabetes mellitus (NIDDM) with a history of diabetes for one year should have an ophthalmic examination ?
1. As early as feasible
2. After 5 years
3. After 10 years
4. Only after visual symptoms develop

Correct answer: 1. As early as feasible

Explanation: The American Academy of ophthalmology has recommended screening for diabetic retinopathy 5 years after the diagnosis in patients with type 1 DM (Juvenile onset/IDDM), and at the time of diagnosis in patients with type 2 diabetes (maturity onset / NIDDM).